Sulfa drug used in inflammatory bowel disease includes :
1. Sulfasalazine
2. Sulfamethoxazole
3. Sulfinpyrazone
4. Sulphadoxine

Correct answer: 1. Sulfasalazine